Test to differentiate monosaccharide from disaccharides?
1. Benedicts test
2. Selivinoff's test
3. Barfoed's test
4. Rapid furfural test

Correct answer: 3. Barfoed's test

Explanation: Ans. c (Barfoed's test); (Ref. Biochemistry by Dr. Deb 7th ed., 47)SUGARS# Best-known tests are reduction of metallic hydroxides together with oxidation of sugar.# For testing reactions due to aldehyde or ketone group of sugars : Benedict test, Tollen test, Nylander test.Disaccharides are maltose, lactose and sucrose.Sucrose is invert sugar and is non-reducing sugar.Polysaccahrides are glycogen, cellulose, starch, dextrin, and inulin.Molish testto identify carbohydrate.Benedict's testfor indentification of monosaccharide (glucose and fructose).Barfoed's testdistinguishes between mono and disaccharides.Benzidine testfor pentoses.SelMnoff's testfor fructose.